The current treatment of choice for a large antrochoanal polyp in a 30-year-old man is:
1. Intranasal polypectomy
2. Caldwell-Luc operation
3. FESS (Functional Endoscopic Sinus Surgery)
4. Lateral rhinotomy and excision

Correct answer: 3. FESS (Functional Endoscopic Sinus Surgery)

Explanation: Current treatment of choice of antrochoanal polyp is endoscopic sinus surgery which has superceded other modes of polyp removal in all age groups. In this procedure all polyps are removed under endoscopic control especially from the key area of the osteomeatal complex. This procedure helps to preserve the normal function of the sinuses. FESS can be done under local anesthesia although general anesthesia is preferred Caldwell-Luc operation is avoided these days.